Dental pulp is derived from
1. Cephalic neural crest cells
2. Mesenchymal cells
3. Ectodermal cells
4. Endodermal cells

Correct answer: 1. Cephalic neural crest cells